Best marker for chronic Protein-energy malnutrition is
1. Weight for age
2. Height for age
3. Weight for Height
4. Head circumference

Correct answer: 2. Height for age

Explanation: Stunting (deficit in height for age) signifies accumulated consequences of retarded growth over some years and generally points towards a chronic course of malnutrition. It may be a residue of past malnutrition or could be due to non-nutritional disorders like genetic short stature or endocrinal disorders. Ref: Page 101, Ghai essential pediatrics; 6th edition